Property of elution is found in -
1. Myxovirus
2. Togavirus
3. Parvovirus
4. Adenovirus

Correct answer: 1. Myxovirus

Explanation: Elution

A large number of viruses agglutinate erythrocytes from different species → Hemagglutination
Hemagglutination of influenza virus is due to the presence of hemagglutinin spikes on the surface of the virus 
Influenza virus also has neuraminidase, which destroys the receptors and leads to reversal of hemagglutination. This is called as elution.
Elution is found only in the myxoviruses that possess neuraminidase.
With other viruses, hemagglutination is stable.